Schedule of typhoid oral vaccine is-
1. Day 1, 2, 3
2. Day 2,3,5
3. Day 1,3,5
4. Day 2,4,6

Correct answer: 3. Day 1,3,5

Explanation: Ans. is 'c' i.e., Day 1, 3, 5 Antityphoid vaccines* Two safe and effective vaccines are licensed and available1) The Vi polysaccharide vaccine (TYPHIM Vi Vaccine)# It contains purified Vi capsular polysaccaride from Ty2 strain.# It is given as single dose by subcutaneous or intramuscular route.# It confers protection 7 days after the injection.# To maintain protection, re-vaccination is recommended every 3 years.# It is given in individuals > 2 years of age (not given < 2 years of age).# The vaccine can be co-administered with other vaccines relevant for international travellers, e.g. yellow fever and hepatitis A.* The vaccine has no serious systemic or local side effects. There is no major contraindication, except for hypersensitivity.2) The Ty 21a Oral vaccine (TYPHORAL Vaccine)# It is an orally administered live attenuated vaccine.# It contains > 109 viable organisms of live attenuated Ty 21a strain which lacks enzyme UDP-galactose- 4-epimerase (Gal E mutant).# Vaccine is administered on 1, 3 and 5th day, i.e. a 3-dose regimen.# Vaccine conferes the protection 7 days after the last dose.# The recommendation is to repeat the series (3 doses) every 3 years for people living in endemic areas and every year for individuals travelling from non-endemic to endemic countries.